Not a complication of Colles' fracture
1. Stiffness of wrist
2. Stiffness of shoulder
3. Carpal tunnel syndrome
4. Wrist drop

Correct answer: 4. Wrist drop

Explanation: D i.e. Wrist drop